Severe Conjunctivitis caused by:
1. NeisseriA
2. Staphylococcus
3. Streptococcus
4. Haemophilus

Correct answer: 1. NeisseriA

Explanation: * The most common causes of acute bacterial conjunctivitis are Staphylococcus aureus, Streptococcus pneumoniae, and Haemophilus influenzae. * Hyperacute cases are usually caused by Neisseria gonorrhoeae or N. meningitidis. * Chronic cases of bacterial conjunctivitis are those lasting longer than 3 weeks, and are typically caused by Staphylococcus aureus, Moraxella lacunata, or gram-negative enteric flora. * Neisseria gonorrhoeae causes gonococcal conjunctivitis, which usually results from sexual contact with a person who has a genital infection. * The incidence rates of gonococcal conjunctivitis increase during spring and summer. * This is a potentially devastating ocular infection, because N. gonorrhoeae can cause severe ulcerative keratitis, which may rapidly progress to corneal perforation. REF : AK KHURANA 7TH ED